All are included in diagnostic criteria of somatization disorder except -
1. Sexual symptom
2. Pain symptom
3. GI symptom
4. Visual symptoms

Correct answer: 4. Visual symptoms

Explanation: Ans. is 'd' i.e., Visual symptomsSomatization disordero The essential features of somatization disorder are multiple recurrent somatic symptoms of long duration (chronic) that are caused by psychological basis and no physical illness can be found.o The disorder begins before the age of 30 years and then has a chronic course (over a period of several years).Diagnostic criteria for somatization disordero Each of the following should be present: -Four pain symptoms Pain, at least at four different sites or functions --> Head (headache), abdomen, back, joint, extremites, chest, rectum, during mensturation or sexual intercourse or urination.Two gastrointestinal symptoms :- Nausea, bloating, vomiting, diarrhea. *One sexual symptom Erectile dysfunction (Impotence), ejaculatory dysfunction, irregular menses, excessive menstural bleeding.One pseudoneurological symptom Conversion symptoms (impaired coordination or balance, paralysis, weakness, blindness, deafness, glove & stocking anesthesia, Paresthesia, seizure, aphonia); Dissociative symptoms (amnesia); loss of consciousness.